The following receptor has an intrinsic ion channel
1. Histamine H1 receptor
2. Histamine H2 receptor
3. Adrenergic alfa receptor
4. GABA-benzodiazepine receptor

Correct answer: 4. GABA-benzodiazepine receptor

Explanation: GABA -BDZ receptor is an ion channel receptor , has an intrinsic Cl ion channel opening when a agonist binds to it and causes increase in frequency of channel opening and causes hyperpolarization. KDT 6/ e pg 42